Verapamil belong to which class of antiarry thmic
1. Class I
2. Class II
3. Class III
4. Class IV

Correct answer: 4. Class IV

Explanation: verapamil is the only class 4 anti arrhythmic drug Ref Harrison 20th edition pg 1342